All are related to difficult intubation EXCEPT:
1. Miller's sign
2. TMJ ankyloses
3. Increased thyromental distance
4. Micrognathia

Correct answer: 3. Increased thyromental distance

Explanation: ANSWTER: (C) Increased thyromental distanceREF: Morgan 4th ed p. 924Indirect repeat from December 2009Signs of difficult intubation:Thyromental distance < 7cmsMallampatti grade III or IVMicrognathiaMacroglossiaHigh arched palate with narrow dental archTMJ limitationLimited cervical vertebrae extensionMiller signGrowth in oral cavity